Which of the following are morphological features of childhood polycystic kidney disease?
1. Enlarged kidney with smooth external surface
2. Dilated elongated channels present at right angle to the cortical surface
3. Cysts are lined by cuboidal cells
4. All of the above

Correct answer: 4. All of the above

Explanation: Autosomal recessive polycystic kidney disease (ARPKD)/Childhood polycystic kidney disease Kidneys - Enlarged, smooth external appearance. Cut section, numerous small cysts give kidney a "sponge-like" appearance. Dilated elongated channels are present at right angles to the cortical surface, completely replacing the medulla and cortex. M/E - Cylindrical or, less commonly, saccular dilation of all collecting tubules. The cysts have a uniform lining of cuboidal cells.